Best use of lithium is in -
1. Treatment of schizophrenia
2. Treatment of recurrent depression
3. Treatment of first depressive episode
4. Prophylaxis of bipolar mood disorder

Correct answer: 4. Prophylaxis of bipolar mood disorder